Punched out lesions in skull are seen in -
1. Multiple myeloma
2. Hyperparathyroidism
3. Metastasis
4. Osteomalacia

Correct answer: 1. Multiple myeloma

Explanation: Ans. is 'a' i.e., Multiple myeloma o Punched out lesions of skull are seen both in Eosinophilic granuloma and multiple myeloma. However, beveled edges (double contour) is characteristic of eosinophilic granuloma due to uneven destruction of the inner and outer table of the skull.Punched out lesions of skull - Multiple myelomaPunched out lesions with beveled edges - Eosinophilic granuloma